Micronodular cirrhosis is seen in all, except ?
1. Alcoholic cirrhosis
2. Wilson's disease
3. Budd Chiari syndrome
4. Indian childhood cirrhosis

Correct answer: 2. Wilson's disease

Explanation: Ans. is 'b' i.e., Wilson's disease